In pheochromocytoma, not a part the rule of 10 is
1. 10% are bilateral
2. 10% are malignant
3. 10% are extra adrenal
4. 10% are symptomatic

Correct answer: 4. 10% are symptomatic

Explanation: Ans is 'd' i.e. 10% are symptomatic Pheochromocytomas usually subscribe to a convenient "rule of 10" or "10% tumor"; i.e. 10% of pheochromocytomas are :-Bilateral Extra-adrenal FamilialMalignant Multiple Occur in children